Lens contains which antigen?
1. Sequestered antigens
2. Cross antigens
3. Heterophile antigens
4. Isoantigens

Correct answer: 1. Sequestered antigens

Explanation: ANSWER: (A) Sequestered antigensREF: Immunotoxicology and risk assessment By Dennis K. Flaherty p-182"Lens contains sequestered antigens"